What is true regarding congenital hypertrophic pyloric stenosis
1. More common in girls
2. Hypochloremic alkalosis
3. Hellers myotomy is the procedure of choice
4. Most often manifests at birth

Correct answer: 2. Hypochloremic alkalosis

Explanation: Congenital hypertrophic pyloric stenosis is more common in first born males.Symptoms usually start after 3 weeks of age.Non-bilious vomiting is the initial symptom. After vomiting, the infant becomes hungry and wants to feed again.The metabolic disturbance is hypochloremic metabolic alkalosis.Clinical diagnosis is by palpation of hypertrophic mass, confirmed by USG.The surgical procedure of choice is Ramstedt pylorotomy.Ref: Nelson 17th/e p1229